Folic acid is absorbed from
1. Duodenum
2. Stomach
3. Ileum
4. Proximal Jejunum

Correct answer: 4. Proximal Jejunum

Explanation: Ans- D Proximal Jejunum